The fungus with septate hyphae and dichotomous branching is ?
1. Aspergillus
2. Penicillium
3. Mucor
4. Rhizopus

Correct answer: 1. Aspergillus

Explanation: Ans. is 'a' i.e., Aspergillus